Drug of choice for Digoxin induced Ventricular Tachycardia:-
1. Propranolol
2. Dilitiazem
3. Verapamil
4. Lignocaine

Correct answer: 4. Lignocaine

Explanation: Lignocaine:- DOC in Digoxin Induced Ventricular Tachycardia. DOC in post Mi Ventricular Tachycardia. It is class IB Ant arrythmia drug. Propranolol:- Non selective antagonist, having both negative inotropic and chronotropic effect It doesnot reduce blood pressure in people with (N) Blood pressure. It lower BP in Hypertension. Verapamil and diltiazem should be avoided in patient with heart failure or with AV block due to their negative inotropic and dromotropic